Most common cause of chronic kidney disease (CKD) in
adults?
1. HTN
2. DM
3. Heart disease
4. cystic tubule interstitial disease

Correct answer: 2. DM